Most common organism causing meningitis in a 1 year old child
1. Streptococcus pneumoniae
2. H. influenza
3. Listeria
4. Neisseria meningitidIs

Correct answer: 1. Streptococcus pneumoniae

Explanation: Streptococcus pneumonia is the most common organism causes meningitis even in the 1 year old child. Reference: GHAI Essential pediatrics, 8th edition